Blister formation in burn is classified as:
1. First degree
2. Second degree superficial
3. Second degree deep
4. Third degree

Correct answer: 2. Second degree superficial

Explanation: Ans. Second degree superficial